Following modification occurs in Gs subunit which leads to watery diarrhea in cholera
1. ADP ribosylation
2. ATP-ADP transfer
3. Phosphorylation
4. Dephosphorylation

Correct answer: 1. ADP ribosylation

Explanation: A i.e. ADP ribosylation